True about Latissimus dorsi
1. Nerve supply from long thoracic nerve
2. Inserted into bicipital groove of humerus
3. Use to fill up back defects
4. Blood supply from lateral thoracic artery

Correct answer: 2. Inserted into bicipital groove of humerus

Explanation: The tendon is twisted upside down and is inserted into floor of the intertubercular sulcus Latissimus dorsi is supplied by the thoracodorsal (long scapular) nerve. The latissimus dorsi is a potential source of muscle for breast reconstruction surgery after mastectomy The dominant blood supply arises from the thoracodorsal artery, which is the terminal branch of the subscapular artery. It also has a secondary blood supply, which arises from segmental perforating branches off of the intercostal and lumbar arteries . Ref - BDC 6th edition Vol 1 ; pg 62,64